The best X Ray view for minimal pleural effusion
1. A - P
2. PA
3. Lateral
4. Lateral decubitus

Correct answer: 4. Lateral decubitus

Explanation: D i.e. Lateral decubitus